All of the following statements about clonidine are true EXCEPT:
1. It is an α–adrenergic agonist
2. It can cause dry mouth as an adverse effect
3. Prazosin completely antagonizes it's action
4. It inhibits sympathetic outflow.

Correct answer: 3. Prazosin completely antagonizes it's action